The extraction of upper first molars may be indicated:
1. When the removal of 4/4 provides insufficient space
2. Where they are rotated
3. When their prognosis is poor
4. When 5/5 are palatally placed

Correct answer: 3. When their prognosis is poor

Explanation: Key concept:
Any teeth which is having poor prognosis is indicated for extraction.